HCI is secreted by which cells of stomach -
1. D-cells
2. Zymogen cells
3. Chief cells
4. Oxynticcells

Correct answer: 4. Oxynticcells

Explanation: Ans. is 'd' i.e., Oxyntie cells In stomacho Parietal cells (oxyntie cells) secrete - HC1 and intrinsic factor of castle,o Chief cells (zymogen or peptic cells) secrete - Pepsinogen,o G cells secrete - Gastrino D cells secrete - Somatostatino ECL cells secrete - Histamine